Rash of chickenpox can be differentiated from the rash of small pox by all except -
1. Pleomorphic
2. Centripetal
3. Deep-seated
4. Unilocular

Correct answer: 3. Deep-seated